Body temperature regulation centre is located at
1. Pituitary
2. Thalamus
3. Hypothalamus
4. Basal ganglia

Correct answer: 3. Hypothalamus

Explanation: Anterior hypothalamus, responds to heat;Posterior hypothalamus, responds to cold. Ref: Ganongs Review of medical physiology;25 th edition ; pg :309; table 17-1.